Physical quality of life index includes
1. IMR, Literacy, Life expectancy at birth
2. IMR, Literacy, Life expectancy at one year
3. MMR, IMR and Life expectancy
4. MMR, intake of calories per capital and IMR

Correct answer: 2. IMR, Literacy, Life expectancy at one year

Explanation: Physical Quality of Life Index (PQLI) is an attempt to measure the quality of life or well-being of a country. The value is the average of three statistics: basic literacy rate, infant mortality , and life expectancy at age one, all equally weighted on a 0 to 100 scale. HDI includes knowledge, income(GNI) and life expectancy at birth. Ref: Park's Textbook of Preventive and Social Medicine; 24th edition, Page no. 17